Intrapulmonary shunting refers to
1. Anatomical dead space
2. Alveolar dead space
3. Wasted ventilation
4. Perfusion in excess of ventilation

Correct answer: 4. Perfusion in excess of ventilation

Explanation: A pulmonary shunt often occurs when the alveoli fill with fluid, causing parts of the lung to be unventilated although they are still perfused. Intrapulmonary shunting is the main cause of hypoxemia (inadequate blood oxygen) in pulmonary edema and conditions such as pneumonia in which the lungs become consolidated Ref: guyton and hall textbook of medical physiology 12 edition page number:333,334,335